Which of the following is produced sexually?
1. Ascospore
2. Conidium
3. Blastoconidia
4. Yeast buds

Correct answer: 1. Ascospore

Explanation: Ans. is 'a' i.e., Ascospore(Ref: Ananthanarayan, 8th/e, p. 601)* Sexual spores: Oospore, Zygospore, Ascospore, Basidiospore (Memory Aid - BOZA).* Asexual spores (Conidia): Sporangiospore, Arthrospore, Blastospore, Chlamydospore (CABS).